Ludwig's angina arises from:
1. Peritonsillar space
2. Parapharyngeal space
3. Submandibular space
4. Sublingual space

Correct answer: 3. Submandibular space

Explanation: (c) Submandibular space(Ref. Scott Brown 8th ed. Vol 3; 550)It is a better answer since sublingual space is a part of submandibular space.